In Abetaltipoproteinemia result in absence of:
1. Chylomicron
2. LDL
3. VLDL
4. All

Correct answer: 4. All

Explanation: A i.e. Chylomicron, B i.e. LDL, C i.e. VLDLAbetalipoproteinemia: is a rare autosomal recessive disease due to defective synthesis or secretion of apo BQ & leads to absent or low level of chylomicrons, VLDL and LDLQ. [Apo protein B is major component of chylomicron (B-48), VLDL & LDL (B- 100)1